Deja vu phenomenon means:
1. Feeling that familiar things look unfamiliar
2. Feeling that unfamiliar things look familiar
3. Unable to recall the familiar name
4. Feeling detached from one's own body

Correct answer: 2. Feeling that unfamiliar things look familiar

Explanation: Ans: B (Feeling that unfamiliar things look familiar) Ref: Synopsis of psychiatry, Kaplan & Sadock, 10th editionExplanationAltered state of consciousness, sense of self and surroundings is a frequent symptom in psychiatry.They occur in following situationsOrganic conditions like epilepsySubstance related like cannabis intoxicationPsychiatric disorders like schizophrenia, dissociative disorderIsolated phenomenaDeja vu is when a person has strong feeling that an event or experience currently being experienced has been experienced in the past, whether it has actually happened or not (mostly the latter).Jamais vu is the opposite of deja vu, where a person feels it strange in familiar situation.Presque vu is when a person is temporarily unable to recall a word or name hut with effort, lie/she could do it.Depersonalization is a subjective experience of unreality in one's sense of self.Derealisation is experiencing 'unreality5 of the outside world.